Drug of choice for ovulation induction -
1. Clomiphene
2. FSH
3. LH
4. Hcg

Correct answer: 1. Clomiphene

Explanation: Ans. is 'a' i.e., Clomiphene o Ovulation should be induced with clomiphene citrate 50 mg/day from day 2 to day 6 of the cycle, for 5 days,o Dose can be increased upto lOOmg, if response is not satisfactory,o If clomiphene fails in 6-8 cycles, FSH & HCG Therapy is recommended.o To avoid peripheral suppressive oestrogenic action on cervical mucus & improve the fertility' rate, letrozole 2.5mg (non steroidal aromatase inhibitor) is found superior to clomiphene.